All are associated with MEN 2 except:
1. Pheochromocytoma
2. Islet cell hyperplasia
3. Medullary carcinoma thyroid
4. Parathyroid adenoma

Correct answer: 2. Islet cell hyperplasia

Explanation: Answer is B (Islet cell hyperplasia): Pituitary islet cell tumors/hyperplasia are associated with MEN- I syndromes and not with MEN II syndromes.